Orchitis without epididymitis is seen in ?
1. Gonorrhoea
2. Tuberculosis
3. Syphilis
4. Chlamydia infection

Correct answer: 3. Syphilis

Explanation: Ans. is 'c' i.e., Syphilis